Krogman's formula is related to:
1. Race
2. Age
3. Sex
4. Stature

Correct answer: 3. Sex

Explanation: Ans. Sex